All of the following are features of poliomyelitis except-
1. Acute onset
2. Progressive course
3. Intact sensation
4. Febrile onset

Correct answer: 2. Progressive course

Explanation: Ans. is 'b' i.e., Progressive course